Cranial nerve passing through internal auditory meatus:
1. 7th cranial nerve
2. 9th cranial nerve
3. 10th cranial nerve
4. 11th cranial nerve

Correct answer: 1. 7th cranial nerve

Explanation: Ans: A (7th cranial...) Internal Auditory Meatus: Structures passing"I am 78 inches Lady"# 7th cranial nerve8th cranial nerveNervus intermediusLabyrinthine vesselsINTERNAL AUDITORY MEATUS OR INTERNAL ACOUSTIC CANALIt is a canal in the petrous part of the temporal bone of the skull that carries nerves from inside the skull towards the middle and inner ear, namely cranial nerve VII and cranial nerve VIII. There are two internal auditory meatuses in most individuals, one on the left side of the skull and one on the right.The internal acoustic meatus transmits the facial and vestibulocochlear nerves and the labyrinthine artery (an internal auditory branch of the basilar artery). The facial nerve travels through the facial canal, eventually exiting the skull at the stylomastoid foramen,The opening of the meatus is called the porus acusticus internus, or its English translation, the internal acoustic opening.